Classic form of Alport syndrome is inherited as:
1. X-linked
2. Autosomal recessive
3. Autosomal dominant
4. Sporadic

Correct answer: 1. X-linked

Explanation: Classic Alport syndrome is inherited as an X-linked disorder. Reference: Harrisons Principles of Internal Medicine, 18th Edition, Page 3213